Indication of internal podalic version is?
1. Transverse lie
2. Transverse lie of second twin
3. Breech
4. Polyhydramnios

Correct answer: 2. Transverse lie of second twin

Explanation: ANSWER: (B) Transverse lie of second twin REF: Dutta 6ch ed p. 388The only indication of internal cephalic version is transverse lie in the second twin